Muscle which broadens and flattens the tongue:
1. Superior longitudinal
2. Inferior longitudinal
3. Verticalis.
4. Transverse.

Correct answer: 3. Verticalis.